All of the following statements regarding systemic sclerosis are TRUE, EXCEPT:
1. Increased serum antibodies to human cytomegalovirus are seen
2. Eosinophilia myalgia syndrome is a subtype of systemic sclerosis
3. The incidence of SSc is increased among miners exposed to silica
4. Bleomycin, pentazocine and cocaine may produce systemic sclerosis like illness

Correct answer: 2. Eosinophilia myalgia syndrome is a subtype of systemic sclerosis

Explanation: Patients with systemic sclerosis: Have increased serum antibodies to human cytomegalovirus (hCMV) Evidence of human parvovirus B19 infection is seen It is more in miners exposed to silica. It is more in polyvinyl chloride, epoxy resins, and aromatic hydrocarbons including toluene and trichloroethylene exposures. Bleomycin, pentazocine and cocaine are implicated with systemic sclerosis Women with silicone breast implants-more risk Eosinophilia-myalgia syndrome (EMS) have marked eosinophilia, severe myalgia and scleroderma-like chronic skin lesions. It is linked to the consumption of L-tryptophan used as dietary supplements. It is not a subtype of systemic sclerosis. Similar features also seen with toxic oil syndrome. Ref: Harrison,E-18,P- 2758.